A man on return from a country complains of pain in abdomen, jaundice, with increased alkaline phosphatase and conjugated hyperbilirubinemia. USG shows blockage in the biliary tree. What could be the cause?
1. Fasciola buski
2. Clonorchis sinensis
3. Strongyloides
4. Ancylostoma

Correct answer: 2. Clonorchis sinensis

Explanation: Ans. is 'b' i.e., Clonorchis sinesis(Ref: Harrison, 18th/e, p. 1757, 1758; 19th/e, p. 1498; Chatterjee, 12th/e, p. 136)* Among the given option only Clonorchis sinensis is a liver fluke which can cause hepatic dysfunction with jaundice and hyperbilirubinemia.